Rama, a 20 year old smoker, presents with hemoptysis and hematuria. Likely diagnosis is:
1. Good pasture's syndrome
2. Nephrotic syndrome
3. Gullian Bane syndrome
4. IgA Nephropathy

Correct answer: 1. Good pasture's syndrome

Explanation: Answer is A (Good pasture's syndrome) Association of hematuria and hemoptysis suggests a diagnosis of Goodpasture's syndrome Good pasture 's syndrome is an autimmune disease charachterized by formation of Anti GBM antibodies, that attack both the pulmonary capillaries (hemoptysis) and the glomerulus (hematuria). The classical presentation is that of a young male smoker with signs of acute glomerulonephritis (hematuria, proteinuria & RBC cast) and hemoptysis associated with bilateral pulmonary infiltrates.